In Radionuclide imaging the most useful radiopharmaceutical for skeletal imaging is –
1. Gallium 67 (67Ga)
2. Technetium–sulphur-colloid (99mTc–Sc)
3. Technetium–99m (99mTc)
4. Technetium–99m linked to Methylene disphosphonate (99mTc–MDP)

Correct answer: 4. Technetium–99m linked to Methylene disphosphonate (99mTc–MDP)

Explanation: Tc 99 is the most common radiopharmaceutical used for imaging in nuclear medicine. For skeletal imaging Diphosphonate Ligands are used as these agents are deposited on sites of actively growing bone. The diphosphonate ligand has a high affinity for actively growing bone. 99Tc-MDP is the most widely used of the diphosphonate ligands- Bone Scintigraphy.